All are true regarding Toxoplasmosis, except -
1. Subclinical in most cases among adults
2. Intracerebral calcification in children
3. IgM Ab in new born suggests congenital infection
4. More severe in 3rd trimester in pregnancy

Correct answer: 4. More severe in 3rd trimester in pregnancy

Explanation: Toxoplasmosis Transmission increases from 1st to 3rd trimester Severity decreases from 1st to 3rd trimester Option 1 Toxoplasmosis in Adult - Mostly asymptomatic Option 2 Congenital toxoplasmosis: 1st Trimester: More severe infection 3rd Trimester: More chance of transmission If Mother is previously infected: Fetus is asymptomatic. Incidence: Approximately 1 per 1000 live births. Featured by: 3C + 2M (chorioretinitis, cerebral calcification, convulsion, microcephaly and intellectual disability) Most common manifestation: Chorioretinitis Option 3 Congenital toxoplasmosis Diagnosis: IgM detection in fetal blood, IgA can also be used. Toxoplasma Ag in amniotic fluid, PCR to detect Toxoplasma genes. Option 4 Congenital infection occurring in 1st trimester of pregnancy may cause abortion and still birth, but when acquired late in pregnancy, it may produce retinitis and mental defects.(less severe)